Which of the following is most specific antibody detected in patients with Rheumatoid arthritis?
1. IgG
2. IgM
3. Anti CCP
4. Anti mitochondrial

Correct answer: 3. Anti CCP

Explanation: Anti CCP (anti-cyclic citrullinated peptide) is the most specific antibody for Rheumatoid arthritis.